Medical jurisprudence deals with
1. Legal aspect of practice of medicine
2. Medical knowledge to aid in the administration of justice
3. Courtesy obtained between medical professionals
4. Moral principles that guide the members of medical profession

Correct answer: 1. Legal aspect of practice of medicine

Explanation: Answer: a) Legal aspects of practice of Medicine (KS NARAYAN REDDY 33rd ED P-1) Forensic (Legal) Medicine: Application of medical knowledge to aid in the administration of justice Medical Jurisprudence: legal responsibilities of a physician, with reference to those arising from physician patient relationship (in short - legal aspects of practice of medicine) Medical ethics: moral principles which should guide the members of medical profession Medical etiquette: conventional laws of courtesy observed between the members of medical profession